The treatment of choice in Cushing's disease is
1. Open adrenalectomy
2. Bilateral adrenalectomy
3. Medical management
4. Transsphenoidal excision of the pituitary adenoma

Correct answer: 4. Transsphenoidal excision of the pituitary adenoma

Explanation: The treatment of choice in Cushing's disease is transsphenoidal excision of the pituitary adenoma, which is successful in 80% of patients. Pituitary irradiation has been used for patients with persistent or recurrent disease after surgery. However, it is associated with a high rate of panhypopituitarism, and some patients develop visual deficits. This has led to increased use of stereotactic radiosurgery, which uses CT guidance to deliver high doses of radiotherapy to the tumour (photon or gamma knife) and also bilateral laparoscopic adrenalectomy. Patients who fail to respond to either treatment are candidates for pharmacologic therapy with adrenal inhibitors (medical adrenalectomy) such as ketoconazole, metyrapone, or aminoglutethimide